Ameloblasts are derived from:
1. Inner enamel epithelium.
2. Outer enamel epithelium.
3. Reduced enamel epithelium.
4. All of the above.

Correct answer: 1. Inner enamel epithelium.

Explanation: Enamel organ is derived from the inner enamel epithelium of the enamel organ.